Scleredema is associated with?
1. Progressive systemic sclerosis
2. Leprosy
3. Diabetes
4. Hypothyroid

Correct answer: 3. Diabetes

Explanation: Ans. C. DiabetesScleredema, also known as Buschke disease, is a rare, self-limiting, skin condition defined by progressive thickening and hardening of the skin, usually on the areas of the upper back, neck, shoulders and face. The skin may also change color to red or orange. Although the cause of scleredema is unknown, it is usually associated with a disease, most of the times being diabetes, a viral illness or strep throat It is usually non-fatal, but it may cause death if the disease spreads to the internal organs It may also cause an infection.